Isotope selectively concentrated in abscess cavities:
1. Gallium
2. Technetium
3. Selenium
4. Chromium

Correct answer: 1. Gallium

Explanation: Ans. Gallium